FK 506 is a type of :
1. Immunoglobulin antibody
2. Non-depolarizing muscle relaxant
3. Macrolide antibiotic
4. Opioid anaesthetic

Correct answer: 3. Macrolide antibiotic

Explanation: Tacrolimus is also known as FK-506. It is an immunosuppressant macrolide antibiotic produced by Streptomyces tsukubaensis.
Muromonab CD3 is also known as OKT3. It is a monoclonal antibody against CD3 cells.